Child pug score is used to assess severity of
1. CKD
2. Chronic liver disease
3. Encephalopathy
4. Biliary atresia

Correct answer: 2. Chronic liver disease